Fomepizole as a antidote is used in the poisoning of:
1. Organophosphrous
2. Methyl alcohol
3. Aluminium phosphide
4. Copper

Correct answer: 2. Methyl alcohol

Explanation: Ans. B: Methyl alcohol Fomepizole or 4-methylpyrazole is indicated for use as an antidote in confirmed or suspected methanol or ethylene glycol poisoning. It may be used alone or in combination with hemodialysis.